A case of chicken pox should he isolated for a period of:
1. 6 days
2. 10 days
3. 12 days
4. 14 days

Correct answer: 1. 6 days

Explanation: Ans: A (6 days) Ref: Park 22nd edition pg 112Explanation:DiseaseIsolationMeaslesFrom onset of catarrhal stage through 3rd day of rashChicken poxUntil all lesions enisled about 6 days of rashH zoster6 days after onset of rashInfluenza3 days after onsetPolio2 weeks for adult, 6 weeks pediatricsHepatitis3 weeksPertussis4 weeks or until paroxysms ceasesMumpsUntil swelling subsidesTBUntil 3 weeks of effective chemotherapyChicken pox and herpes zoster have same period of isolation i.e. till 6 days of rash.Pertussis and mumps till the major symptom subsides i.e. paroxysmal cough in pertussis and swelling in mumps.